Most common cause of hypovolemic hyponatremia in hospitalized patient is
1. IV fluids
2. Diuretics induced
3. Severe pain
4. Congestive heart failure

Correct answer: 2. Diuretics induced

Explanation: (B) Diuretics induced > Hypervolemic hyponatremia cirrhosis congestive heart failure nephrotic syndrome massive edema of any cause> Euvolemic hyponatremia states of severe pain or nausea in the setting of trauma or other damage to the brain SIADH (and its many causes)Hypovolemic hyponatremia any cause of hypovolemia such as prolonged vomiting, decreased oral intake, severe diarrhea diuretic use (due to the diuretic causing a volume depleted state and thence ADH release, and not a direct result of diuretic-induced urine sodium loss)